Laser not used in Laser Trabeculplasty among the following
1. Nd: YAG laser, 532nm
2. Nd: YAG laser, 1064nm
3. Argon laser
4. Diode laser

Correct answer: 2. Nd: YAG laser, 1064nm

Explanation: YAG laser, 1064 nm acts by photodisruption, rest all act by photocoagulation and hence used in Trabeculplasty.